Lucid interval is seen in
1. Syphilis
2. Malignant disease
3. Insanity
4. Electrical shock

Correct answer: 3. Insanity

Explanation: (C) Insanity # Lucid Interval: This is a period occurring in insanity, during which all symptoms of insanity disappear completely.> The individual is able to judge his acts soundly, and he becomes legally liable for his acts.> The period of lucid interval varies from person to person & from time to time in the same person & as such one cannot be certain about the time when a person passes again in the state of insanity.